Aschoff bodies in Rheumatic heart disease show all of the following features, except -
1. Anitschkow cells
2. Epithelioid cells
3. Giant cells
4. Fibrinoid necrosis

Correct answer: 2. Epithelioid cells

Explanation: Aschoff body is the microscopic lesion that is diagnostic of rheumatic fever. It is characterized by an area of granular fibrinoid necrosis surrounded by :-

a. Histiocytes
b. Lymphocytes
c. Plasma cells
d. Fibroblasts
e. Collagen
f. Anitschkow cells -
Anitschkow cells are actually histiocytes which have become multinucleated to form Aschoff giant cells.

Aschoff bodies can occur in any layer* of the heart but they are most commonly seen in subendocardial region* and the myocardial interstitium.